True about cardiac muscles are all except:
1. Property of spontaneous and rhythmic contraction
2. Cardiac muscle exhibits cross striations
3. Cardiac muscle cells are linear and longitudinal
4. Cardiac muscle is supplied by autonomic nerve fibers

Correct answer: 3. Cardiac muscle cells are linear and longitudinal

Explanation: Cardiac muscle consists of striated muscle fibers that branch and unite with each other. It forms the myocardium of the heart.Its fibers tend to be arranged in whorls and spirals, and they have the property of spontaneous and rhythmic contraction. Specialized cardiac muscle fibers form the conducting system of the heart.Cardiac muscle is supplied by autonomic nerve fibers that terminate in the nodes of the conducting system and in the myocardium.